In klumpke's paralysis nerve roots involved are
1. C6 -C7
2. C7- C8
3. C8-T1
4. T1-T2

Correct answer: 3. C8-T1

Explanation: In klumpke's paralysis lower trunk of brachial plexus is involved that is mainly T1 and partly C8. C6 is mainly involved in Erb's paralysis along with C5. B D Chaurasia 7th edition Page no: 59